True about Post traumatic fat embolism syndrome:
1. Fracture mobility is a risk factor
2. Associated diabetes pose a risk
3. Bradycardia occurs
4. All

Correct answer: 1. Fracture mobility is a risk factor

Explanation: A i.e. Fracture mobility is a risk factor